Chronic mild depression of how much duration is considered to be dysthymia?
1. 3 to 6 months
2. 6 Months to 1 year
3. One to one and half years
4. More than 2 years

Correct answer: 4. More than 2 years

Explanation: Ans. D. More than 2 yearsDysthymia: It's presence of mild depressive symptoms (not enough to diagnose a MDD) for a period of at least 2 years - socio-occupational dysfunction is not markedIn DSM-5: persistent depressive disorder (clubbed chronic depression + dysthymia)